Arthropod with four pairs of legs
1. Insecta
2. Crustsea
3. Arachnida
4. None

Correct answer: 3. Arachnida

Explanation: Ans. c (Arachnida) (Ref. Text book of PSM by Park 22nd/ 716) InsectaArachnidaCrustaceaBody divisionsHead,Cephalothorax, ThoraxCephalothorax AbdomenAbdomenAbdomenLegs3 pairs4 pairs5 pairsAntennae1 pairNo2 pairsWings1 or 2 pairs, some winglessNoneNoneWhere foundOn landOn landIn watere.g.Mosquitoes: Anopheles, Culex, AedesFlies:Houseflies, Sandflies,Tsetse flies,Blackflies. Reduvid bugs.Human lice: Head & body lousePubic/crab louseFleas:Rat fleas, SandfleasHard tick; Soft tickMites: leptotrombidium & trombiculid mite, itch miteCyclops